Legionella causes:
1. Pontiac fever
2. Myocarditis
3. Diarrhea
4. All of the above

Correct answer: 4. All of the above

Explanation: Ans. is. 'd' i. e., All of the above